Intra nuclear inclusion body is exclusively seen in:
1. Rabies virus
2. Poxvirus
3. Measles virus
4. Herpesvirus

Correct answer: 4. Herpesvirus

Explanation: Ans. (d) Herpes virusRef: Microbiology by Ananthanarayan and Paniker 8th ed. /444, 453* Inclusion bodies are nuclear or cytoplasmic aggregates of stainable substances, usually proteins. They typically represent sites of viral multiplication in a bacterium or a eukaryotic cell and usually consist of viral capsid proteins.Examples of Viral Inclusion BodiesIntracytoplasmicIntranuclearIntracytoplasmic + Intranuclear* Negri bodies in Rabies* Guarnieri bodies in Small pox* Henderson- Peterson bodies in Molluscum contagiosum* Cowdrytype A in Herpes simplex virus and Varicella zoster virus and Torres bodies in Yellow fever* Cowdrytype B in Polio and adenovirus* Warthin finkeldey bodies in Measles